Peg cells' are seen in:
1. Vagina
2. Vulva
3. Ovary
4. Tubes

Correct answer: 4. Tubes

Explanation: Important Facts about Fallopian Tube:
Length = 4 inches or 10-12 cm.
Parts are :

Interstitium (Intramural): 1.8 cm long and 1 mm diameter (narrowest part). It has no longitudinal muscles, only circular muscles are present.
Isthmus: 3.5 cm long and 2 mm in diameter. (Second narrowest part).
Ampulla: widest and longest part 6-7.5 cm and fertilization occurs here
Fimbria/infundibulum

Histologically:

Fallopian tubes have a unique type of cells called as Peg cells whose function is not known.